Nerve lying in the spiral groove of humerus is:
1. Musculocutaneous nerve
2. Ulnar nerve
3. Radial nerve
4. Median nerve

Correct answer: 3. Radial nerve

Explanation: Anatomy of radial nerve Formed by: Axons from Roots: C5 to T1 Brachial plexus Trunks: Superior, Medial and Inferior Cord: Posterior Axons pass through Spiral groove of humerus Fibrous arch attachment of triceps to humerus Lateral intermuscular septum below deltoid insertion Arcade of Frohse: Above supinator and below elbow Branches Above elbow - Above spiral groove (humerus)